Extrapyramidal symptoms are seen in all EXCEPT:
1. Paralysis agitans
2. Carbon monoxide poisoning
3. Cerebrovascular accident
4. Multiple sclerosis

Correct answer: 4. Multiple sclerosis

Explanation: Answer is D (Multiple sclerosis): options other than multiple sclerosis are mentioned as causes of extrapyramidal syndrome. Classification of extrapyramidal disorders : Akinetic rigid syndromes Idiopathic Parkinson's disease Secondary Parkinson's disease Drugs : Phenothiazines, haloperidol, pimozide, metoclocpramide, reserpine, lithium. Toxins : Manganese 1-methyl 4-phenyl tetrahydropyridine (MPTP), carbondisulphide Hypoxia : Carbonmonooxide, cynaide Viral : Japanese B Encephalitis, C-J Disease, SSPE Vascular : Athrosclerosis Metabolic : Wilson's disease, hypoparathyroidism, GM1 gangliosidosis Head Injury : Punch drunk syndrome Brain tumor Parkinson's plus syndromes Progressive supranuclear palsy Multiple system atrophy : olivopontocerebellar atrophy, Shy-Drager syndrome, striato nigral degeneration. Cortico basal degeneration Diffuse lewy body disease Familial basal ganglia calcification Huntington's disorder (Juvenile variant)